Following are used in treatment of digitalis toxicity except-
1. Potassium
2. Lignocaine
3. Fabpaicles
4. Hemodialysis

Correct answer: 4. Hemodialysis

Explanation: Answer is D (Haemodialysis) Hemodialysis is not useful in digitalis poisoning.